Which of the following test differentiates between diffuse esophageal spasm and GERD
1. Barium swallow
2. Manometry
3. Ambulatory 24 hour pH monitoring
4. Biopsy

Correct answer: 3. Ambulatory 24 hour pH monitoring

Explanation: Symptoms and manometric findings of diffuse esophageal spasm can be caused by GERD. To differentiate between them it is mandatory to do 24 hour pH monitoring.